Drug used for sclerotherapy of varicose veins are the following except:
1. Ethanolamine oleate
2. Polidocanol
3. Ethanol
4. Sodium tetradecyl sulfate

Correct answer: 3. Ethanol

Explanation: Ans. (c) EthanolRef: Sabiston 19th Edition, Page 1809Sclerosing Agents:* 5% phenol in almond oil* Ethanolamine Oleate 5% in 25% glycerine and 2% benzyl alcohol* Sodium tetra decyl sulphate (3%) with Benzyl alcohol* Hypertonic Saline